Death in fresh water occurs within
1. 1-2 minutes
2. 4-5 minutes
3. 10 minutes
4. 20 minutes

Correct answer: 2. 4-5 minutes

Explanation: fatal period death in fresh water takes 4-5 minutes and in sea water it takes 8-12 minutes. Ref: TEXTBOOK OF FORENSIC MEDICINE AND TOXICOLOGY KRISHNAN VIJ FIFTH EDITION PAGE 136